Beck's Triad is seen in -
1. Constrictive Pericarditis
2. Cardiac tamponade
3. Right ventricular myocardial infarction (RVM)
4. Restrictive cardiomyopathy

Correct answer: 2. Cardiac tamponade